Secondary osteosarcoma are associated with
1. Paget's disease
2. Osteogenesis imperfecta
3. Melhoreostosis
4. Ankylosing spondilitis

Correct answer: 1. Paget's disease

Explanation: Answer- A. Paget's diseaseCauses of secondary osteosarcomaPagets DiseaseFibrous dysplasiaEnchondromatosisHereditary multiple exostosisRadiationChronicosteomyelitisBone infarction